Which of the following is more frequently seen in Churg Strauss Syndrome in comparison to Wegener's Granulomatosis
1. Renal involvement
2. Lower Respiratory Tract involvement
3. Eye involvement
4. Upper Respiratory Tract involvement

Correct answer: 2. Lower Respiratory Tract involvement

Explanation: Answer is B (Lower Respiratory Tract involvement): Lower Respiratory Tract involvement is typically more common in Churg Strauss Syndrome in comparison to Wegener's Granulomatosis. Organs involved in small vessels vasculitis: Organ involvement throughout disease course Wegner's granulomatosis Microscopic polyangitis Churg-Strauss syndrome Upper respiratory tract 80% Uncommon 55% Lower respiratory tract 70% 30% 100% Eye 46% 10% 6% Kidney 80% 90% 33% Peripheral nervous system 35% 20% 67% Gastrointestinal system 5% 5% 17% Heart Uncommon Uncommon 28% Skin 50% 25% 44% Constitutional symptoms 95% 90% 94%